True about dysplastic nevus syndrome all except
1. Autosomal recessive
2. Half of  such patients  develop melanoma by age 60 years
3. Associated with mutations  in  BRAF and NRAS
4. Disorder with numerous dysplastic nevi

Correct answer: 1. Autosomal recessive

Explanation: It is autosomal dominant disorder.